Iodised oil ( usual dose of 1 ml i/m) gives protection for
1. 3-4 years
2. 3-4 months
3. 3-4 weeks
4. 10-12 years

Correct answer: 1. 3-4 years

Explanation: Intramuscular Iodised Oil (poppy-seed oil): Average dose 1 ml injection provided protection for 4 years
Oral Iodised Oil: 2 ml dose is effective for 2 years